Causative microorganism of chromo-blastomycosis?
1. Cladosporium
2. Blastomyces
3. Sporothrix
4. Histoplasma capsulatum

Correct answer: 1. Cladosporium

Explanation: Ans. is 'a' i.e., Cladosporium Chromoblastomycosis (verrucous dermatitis) . It is a subcutaneous mycotic infection of the feet and lower legs. . The etiological agents are soil inhabiting fungi of family dematiaceae. . The fungi responsible are Fonsecae pedrosoi Fonsecae compact= Fonsecae dermatitidis Phialophora verrucosa Cladosporium carrionii . Fungus enters the skin by traumatic implantation. . Lesions consist of warty cutaneous nodule which resemble the florets of cauliflower. . F. pedrosoi and P. verrucosa may disseminate to other parts, especially the brain. . Histologically, the lesions show sclerotic cells and copper penny bodies.